Secondary messengers include:
1. cAMP
2. IP3
3. Diacylglycerol
4. All

Correct answer: 4. All

Explanation: A i.e. c-AMP; B i.e. IP3; C i.e. Diacylglycerol